String sign of Kantor is seen in:
1. Crohn's disease
2. Ulcerative colitis
3. Ca Colon
4. Typhoid colitis

Correct answer: 1. Crohn's disease

Explanation: Ans: A (Crohn's disease) Ref: http:www.uirlearning radiology.comExplanation:String Sign of KantorSeen in Crohn's diseaseFinding seen on contrast studies using primarily bariumIt is caused by severe spasm secondary to irritability of the loop producing the appearance of a frayed cotton stringAt first, edema and spasm narrow the loop but the narrow ing is at least partially distensibleEventually the wall of the ileum may become fibrotic and the lumen fixed in diameter.Imaging FindingsPersistently narrowed but potentially distensible terminal ileumFirst sign of Crohn's ileitis is usually shallow aphthous ulcersShort, linear ulcers along the mesenteric border may also be seen with Crohn's ileitisInduration of the surrounding fat may cause the loop to be separated from the other small bowel loops (Proud loop)